RET proto oncogene mutation is a hallmark of which of the following tumors?
1. Medullary carcinoma thyroid
2. Astrocytoma
3. Paraganglioma
4. Hurthle cell tumor thyroid

Correct answer: 1. Medullary carcinoma thyroid

Explanation: Ans. is 'a' i.e. Medullary carcinoma thyroid Mutations in RET proto-oncogene are responsible for MEN2A, MEN2B, and Familial Medullary thyroid carcinoma. RET protooncogene codes for trans-membrane protein tyrosine kinase Familial cases of MTC are now detected by genetic screening for RET mutations, which identifies individuals who will develop medullary cancer later in life.